A pregnant woman presents at 33 weeks with a placenta previa of a major degree. The foetus is malformed. Which of the following will be the best line of management for her?
1. LSCS
2. Oxytocin drip
3. Rupture of membranes
4. Instillation of PGE2

Correct answer: 1. LSCS

Explanation: Ans. A. LSCSIn major degree placenta previa (type II posterior, type III, and type IV) LSCS is indicated for maternal interest even when the baby is dead or malformed.